Corpus luteum in the first 6 weeks of pregnancy is maintained by -
1. BetaHCG
2. Estrogen
3. Progesterone
4. Human placental lactogen

Correct answer: 1. BetaHCG

Explanation: Ans. is 'a' i.e., Beta HCG Functions of Human Chorionic Gonadotropina) Maintainence of corpus luteum till 6 weeks of pregnancy.b) Stimulation of fetal testicular testosterone secretion which is maximum approximately when hCG levels peak.c) Immunosuppressive activity, inhibits maternal processes of immunorejection of the fetus as a homograft.d) Stimulates maternal thyroid (thyrotropic action).e) Promotes relaxin secretion from corpus luteum.